CB 1 antagonist used in smoking cessation is ?
1. Naloxona
2. Rimonabant
3. Vareniloline
4. Bupripion

Correct answer: 2. Rimonabant

Explanation: Ans. is 'b' i.e., Rimonabant Rimonabant A selective cannabinoid receptor-1 (CB-1) antagonist which is being tried as antismoking and antiobesity drug.